Microscope used in microbiology are
1. Light microscope
2. Phase contrast microscope
3. Fluorescent microscope
4. All

Correct answer: 4. All

Explanation: The morphological study of bacteria requires the use of microscopes. Microscopy has come a long way since Leeuwenhoek first observed bacteria over three hundred years ago using hand grounded lenses. Optical or Light microscope, Phase contrast microscopy, Fluorescent microscope, dark field / Dark ground microscope and Electron microscope Ref: Textbook of Microbiology; Ananthanarayan and Paniker; 9th edition; Pg no: 10